Drug of choice for Mycoplasma pneumoniae infection is :
1. Gentamicin
2. Amoxyclillin
3. Azithromycin
4. Cefotaxime

Correct answer: 3. Azithromycin